Adenoma carcinoma sequence was prototypically observed in which carcinoma
1. Colon
2. Gastric
3. Salivary gland
4. Lacrimalgland

Correct answer: 1. Colon

Explanation: Adenoma of colon has high malignant potential. Potentiality increases with size. If size of adenoma is >2cm there is 30-50% chance of developing carcinoma. If it is 1-2cm then there is 10% chance of developing carcinoma, and if it is less than 1cm then there is 1-5% chance of carcinoma. Reference : SRB's Manual of Surgery, 6th Edition, page no = 890.